which of the following antiarrhythmic drug is avoided in a patient with interstitial lung disease ?
1. Verapanril
2. Quirindine
3. Sotalol
4. Amidarone

Correct answer: 4. Amidarone

Explanation: ref : kd tripathi 8th ed